Which of the following Ovarian neoplasm shows Rokitansky's protuberance:
1. Androblastoma
2. Mucinous cyst adenoma
3. Dermoid cyst
4. Papillary serous cyst adenoma

Correct answer: 3. Dermoid cyst

Explanation: Rokitansky protuberance is seen in both X-ray and USG on Dermoid cyst as Radiopaque and Hyperechoic respectively. Site where the most varied tissue types are found Common location of Malignant transformation Rokitansky protuberance is a rounded mural nodule that measures 1 to 4 cm, and creates an acute angle with the cyst wall